Uronic acid pathway is important for the formation of-
1. GAG (glycosamine glycans)
2. Glycoproteins
3. Conjugation of bilirubin
4. All of the above

Correct answer: 4. All of the above

Explanation: Ans. is 'd' i.e., AH of the above o UDP-glucuronate (a product of uronic acid pathway) is a donar of glucuronate residue for various conjugation and synthetic processes.